Ductility Represents
1. Percent elongation
2. Plastic strain
3. Flexural stress
4. Percentage depression

Correct answer: 1. Percent elongation